Snowman Shaped Heart is typically seen in -
1. Tetralogy of fallot
2. Total Anomalous Pulmonary' Venous Connection
3. Transposition of Great Vessel
4. Coarctation of Aorta

Correct answer: 2. Total Anomalous Pulmonary' Venous Connection

Explanation: Ans. is 'b' i.e., Total Anomalous Pulmonary Venous Connection o Snowman Shaped Heart or figure of '8' Heart has typically been described in association with Total anomalous Primary Venous Connection (TAPVC).Also knowo Boot Shaped Heart-Tetralogy of Faloto Snowman Shaped Heart (Figure of 8 Heart)-Total Anomalous Pulmonary Venous Connection to the Innominate Veino Egg on Side Appearance-Complete Transposition of great arterieso Figure of '3 ' sign-Coarctation of Aorta